Best view for maxillary sinus -
1. Water's view
2. Caldwell view
3. Lateral view
4. Towne view

Correct answer: 1. Water's view

Explanation: Ans. is 'a' i.e., Water's view Various skull view sViewStructures seenWaters (occipito-mental view)o Orbito Maxillary sinus (best view for maxillary sinus)o Sphenoid sinus (if X-ray is taken with open mouth)o Frontal sinuso Ethmoid sinuseso Intratemporal fossao Upper & lower jawo Zygomatic archo Nasal cavityCaldwell (occipito - frontal view)o Superior orbital fissureo Frontal sinus (best view for frontal sinus)o Maxillary sinuso Ethmoid sinuso Foramen rotunduno Orbito Nasal cavityo Petrous boneLateral viewo Sella turcica (best view for sell turcica)o Coronal and lambdoid sutureo Frontal; maxillary; middle & posterior ethmoid sinuseso Tuberculumsellaeo Sulcus chiasmaticusBasal (submentovertical) viewo Sphenoid sinus (best to visualize sphenoid sinus)o Posterior ethmoid sinuso Maxillary sinuso Greater wing of sphenoido Foramen ovale, spinosum, and lacerumo Foramen magnumo Mastoid boneTowne's viewo Foramen magnumo Dorsum sellaeo Occipital boneo Internal acoustic canalo Mastoidso Condyles of mandibles